Growth on a cell-free artificial solid medium is possible for following except -
1. Ureaplasma urealyticum
2. Mycoplasma pneumoniae
3. C and L form of proteus vulgaris
4. Chlamydia

Correct answer: 4. Chlamydia